Ankle sprain is due to :
1. Rupture of anterior talo-fibular ligament
2. Rupture of posterior talo-fibular ligament
3. Rupture of deltoid ligament
4. Rupture of Calcaneo-fibular ligament

Correct answer: 1. Rupture of anterior talo-fibular ligament

Explanation: A i.e. Rupture of anterior talo-fibular ligament